Brugada syndrome is associated with
1. Left Bundle Branch Block
2. Left Anterior Fascicular block
3. Left posterior Fascicular block
4. Right bundle Branch block

Correct answer: 4. Right bundle Branch block

Explanation: Mutations involving car- diac sodium channels are identified in approximately 25% of cases. Distinction from patients with similar ST elevation owing to LV hypertrophy, pericarditis, myocardial ischemia or MI hyperkalemia, hypothermia, right bundle branch block, and ARVC is often difficult Ref Harrison 20th edition pg 1423